All of the follow ing are larva control measures except -
1. Gambusia
2. Intermittent irrigation
3. DDT
4. paris green

Correct answer: 3. DDT

Explanation: Ans. is `c' i.e., DDT